A single immunoglobulin molecule contains ?
1. 1 light chain, 1 heavy chain
2. 2 heavy chains, 1 light
3. 2 light chains, 2 heavy chains
4. 2 light chains, 1 heavy chain

Correct answer: 3. 2 light chains, 2 heavy chains

Explanation: Ans. is 'c' i.e., 2 Light chains, 2 Heavy Chains